Contraindications for Medical abortions are all except:
1. Age more than 35 years
2. Hemoglobin less than 8 gm%
3. Undiagnosed adnexal mass
4. Uncontrolled seizure disorder

Correct answer: 1. Age more than 35 years

Explanation: Age is no contraindication for medical abortion. Contraindications for medical abortions; Hemoglobin less than 8 gm% Undiagnosed adnexal mass Uncontrolled seizure disorder Uncontrolled coagulation disorders etc